Which of the fallowing lesions are seen in van recklinghausen's disease of skin
1. Hemangioma
2. Ameloblastoma
3. Neurofibroma
4. Giant cell fibroma

Correct answer: 3. Neurofibroma